Vitum's sign is seen in -
1. Tricuspid Regurgitation
2. Mitral Stenosis
3. Aortic Stenosis
4. Aortic Regurgitation

Correct answer: 1. Tricuspid Regurgitation

Explanation: Answer- A. Tricuspid Regurgitation Increase in intensity of the murmur on pressing the liver is celled vitum's sign.It is associated with "Vitum's sign".